When a doctor issues a false medical certificate, then he is liable under:
1. Sec. 197 IPC
2. Sec. 87 IPC
3. Sec. 304A IPC
4. Sec. 338 IPC

Correct answer: 1. Sec. 197 IPC

Explanation: Ans. Sec. 197 IPC